Condyloma acuminatum is caused by HPV types of -
1. 18, 31
2. 17, 12
3. 6, 11
4. 16, 18

Correct answer: 3. 6, 11

Explanation: HPV6&11 causes condyloma accuminata or genital was REF:ANATHANARAYANAN MICROBIOLOGY NINTH EDITION PAGE.553